Leather term is used for -
1. Anthrax
2. Proteus
3. Diphtheria
4. Neisseria

Correct answer: 3. Diphtheria

Explanation: Ans. is 'c' i.e., Diphtheria name is derived from the tough leathery pseudomembrane (diphtheros, meaning leather).